Trivalent oral polio vaccine contains, type 3 virus-
1. 100,000 TCID 50
2. 200,000 TCID 50
3. 300,000 TCID 50
4. 400,000 TCID 50

Correct answer: 3. 300,000 TCID 50

Explanation: .oral polio vaccine contains live attenuated virus(type1,2,3) grown in monkey kidney cell cuture or human diploid cell culture.its given as a trivalent vaccine containing *300000 TCID 50 of type 1, *100000 TCID 50 of type 2 *300000 TCID 50 of type 3 virus per dose. ref:park's textbook,22 nd ed,pg 187